ALVARADO score 2 defines:
1. Temperature
2. Leukocytosis
3. Tenderness in left iliac fossa
4. Migratory pain

Correct answer: 2. Leukocytosis

Explanation: Leucocytosis has a score of 2 Alvarado Score Aka MANTRELS Score- Used for Appendicitis Manifestation Score Symptoms Migratory RIF pain Anorexia Nausea and vomiting 1 1 1 Signs Tenderness (RIF) Rebound tenderness Elevated temperature 2 1 1 Laboratory Leucocytosis Shift to left 2 1 Total 10 - Score of 9-10 - Certain diagnosis - Score of 7-8 -High likelihood of diagnosis - Score of 5-6 - Equivocal (most dangerous) - Score of 1-4 - Negative for acute appendicitis - CECT is indicated in cases of Equivocal MANTREL score findings to confirm diagnosis